Fusion of xiphoid process occurs at?
1. 30 years
2. 10 years
3. 40 years
4. 70 years

Correct answer: 3. 40 years

Explanation: Ans. (c) 40 yearsRef: Textbook of Forensic medicine and Toxicology: Principles and Practice, 5/e, p 43